All are important laboratory features of hemolytic anemia , EXCEPT:
1. Normal AST
2. Elevated urobilinogen in stool
3. Reduced haptoglobin
4. Macrocytes in blood smear

Correct answer: 1. Normal AST

Explanation: The laboratory features of Hemolytic anemia: Increase in unconjugated bilirubin and aspartate transaminase (AST) Urobilinogen increased in both urine and stool. Hemoglobinuria (often associated with hemosiderinuria) in intravascular hemolysis Lactate dehydrogenase (LDH) is increased Increase in reticulocytes Increased mean corpuscular volume (MCV) On the blood smear-presence of macrocytes Haptoglobin is reduced. ( Please NOTE) Ref: Harrison, E-18,P-872.